In all of the following conditions, prostanoid may be used, except
1. Glaucoma
2. Platelet coagulation disorders
3. Gastric ulcer
4. Closure of PDA

Correct answer: 4. Closure of PDA

Explanation: (Refer: Rang and Dale's Clinical Pharmacology, 7th edition, pg no: 214-215)